Regarding rabies, true is:
1. Incubation period depends on the site of bite
2. Diagnosis is by eosinophilic intranuclear inclusion
3. It is a DNA virus
4. Caused only by dogs

Correct answer: 1. Incubation period depends on the site of bite

Explanation: Ans. is 'a' i.e., Incubation period depends on the site of bite(Ref: PSM Park, 19th/e, p. 228)Variability of Incubation Period* Incubation period of rabies depends on:- The site of bite.- Number of wounds.- Species of biting animal.- Severity of bite.- Amount of virus injected.- Protection provided by clothing and treatment undertaken.ABOUT OTHER OPTIONS* Pathognomonic Negri bodies are intracytoplasmic (not intranuclear) eosinophilic inclusion bodies. Q* Rabies virus is a RNA virus.* It can be caused by many wild animals (not only by dogs).